Acetyl CoA carboxylase is rate limiting enzyme of
1. Cholesterole synthesis
2. Fatty acid synthesis
3. Urea synthesis
4. Gluconeogenesis

Correct answer: 2. Fatty acid synthesis

Explanation: Some rate limiting enzymes